Which one of the following drugs does not induce mydriasis:
1. Phentolamine
2. Ephedrine
3. Phenylephrine
4. Cocaine

Correct answer: 1. Phentolamine